Which of the following malignancy is associated with invasion of Vortex Vein?
1. Retinoblastoma
2. Malignant melanoma
3. Optic nerve gliomas
4. Medullo-epitheliomas

Correct answer: 2. Malignant melanoma

Explanation: Malignant melanoma of the choroid is the most common primary intraocular tumor of adults usually between the age group 40-70 years. It is rare in blacks and is more common in whites. It arise from the neural crest derived pigment cells of the uvea as a solitary tumor and is usually unilateral. This tumor during the stage of extraocular extension burst through the sclera at limbus. This extraocular spread occur through the perivascular spaces of vortex veins or ciliary vessels. Ref: Comprehensive Ophthalmology By AK Khurana, 4th Edition, Pages 162-5.